Flu like syptoms is side effect of which anti TB drug ?
1. INH
2. Rifampicin
3. Pyrzinamide
4. Streptomycin

Correct answer: 2. Rifampicin

Explanation: Rifampicin USES : PULMONARY TUBERCULOSIS. LEPROSY (HENSEN'S DISEASE) . SERIOUS STREPTOCOCCAL INFECTIONS, SUCH AS OSTEOMYELITIS, PROSTHETIC VALVE ENDOCARDITIS. TO EXAMINE THE MENINGOCOCCAL CARRIAGE & STAPHYLOCOCCAL CARRIAGE. AS PROPHYLAXIS IN CONTACTS OF CHILDREN WITH HAEMOPHILUS. IT WORKS AGAINST Mycobactrium kansasii. IT IS USEFUL AGAINST VERITY OF SERIOUS INFECTIONS. IT HAS BACTERICIDAL ACTION AGAINST GRAM'S POSITIVE BACTERIAL PATHOGENS. IT IS EFFECTIVE AGAINST INTRACELLULAR INFECTIONS. RIFAMPICIN COMBINED WITH ERYTHROMYCIN IN THE TREATMENT OF Rhodococcus infections REF : katzung pharmacology : 14th ed